The following statements are related to obstetric inversion :
1. It is usually insidious in onset
2. It is usually acute
3. It is usually incomplete
4. In majority, it is spontaneous in nature

Correct answer: 2. It is usually acute

Explanation: Uterine inversion is a condition in which there is a inside out turning of the uterus. It is a rare cause of postpartum collapse but collapse occurs suddenly after labour It is acute in onset Mostly uterine inversion is complete, i.e, third degree Most common cause of uterine inversion is mismanagement of third stage of labour Ref: Datta Obs 9e pg 395.